All of the following hormones are increased during stress except:
1. Cortisol
2. Insulin
3. Adrenalin
4. Noradrenalin

Correct answer: 2. Insulin

Explanation: Ans: B i.e. InsulinDue to stress, the hypothalamus is stimulated --> CRH secretion increased ACTH secretion increased Cortisol secretion increasedSatyanarayana's Biochemistry, 3rd ed., p-671 statesIn emergency situations like stress, extreme exercise and trauma, the nervous system stimulates adrenal medulla to release epinephrine. Epinephrine suppresses insulin release and promotes energy metabolismSympathetic stimulation causes stimulation of adrenal medulla so that adrenal medulla secretes vigorous amount of adrenalin and noradrenalin.